Laryngeal mask airway, all are true except
1. Less invasive
2. Prevents aspiration
3. Easy to insert
4. Less complications

Correct answer: 2. Prevents aspiration

Explanation: LMA cannot prevent aspiration.